Sputum examination for AFB is a type of
1. Primary prevention
2. Secondary prevention
3. Tertiary prevention
4. Primordial prevention

Correct answer: 2. Secondary prevention

Explanation: Sputum AFB is a diagnostic test intended for the early diagnosis and adequate treatment. Secondary prevention: an action which halts the progress of the disease at its incipient stage and prevents complications. The interventions include early diagnosis and treatment. Ref: Park's Textbook of Preventive and Social Medicine; 24th edition - Page no. 46